Most specific change in biopsy is seen in-
1. Tropical sprue
2. Giardiasis
3. Abetalipoproteinemia
4. Malnutrition

Correct answer: 3. Abetalipoproteinemia